Most common cause of pseudoaneurysm
1. iv drug abuse
2. Trauma
3. Congenital
4. None

Correct answer: 2. Trauma

Explanation: Answer- B. TraumaWhen wall, is ruptured and there is collection of blood outside the vessel wall (extravascular hematoma) that is freelycommunicating with vessel wall - false aneurysm (Pseudoaneurysm). Most common cause of false aneurysm is Trauma.